Wolfram disease includes all except?
1. Diabetes insipidus
2. Optic glioma
3. Diabetes mellitus
4. Neural deafness

Correct answer: 2. Optic glioma

Explanation: Features of walfrom disease is given by DIAMOND :
Central diabetes insipidus.
Diabetes Mellitus.
Optic Atrophy.
Neural deafness.